Thiazide diuretic used when GFR<30 ml/min?
1. Metolazone
2. Benzthiazidc
3. Chlorthiazide
4. Hydrofulthiazide

Correct answer: 1. Metolazone

Explanation: Ans. is 'a' i.e., Metolazone orT Metolazone is the only thiazide which is effective in severe renal failure.